Which of the following enzymes is the most important enzyme for regulating lipogenesis:
1. Hydratase
2. Acetyl-CoA carboxylase
3. Enoyl reductase
4. Acetyl transacetylase

Correct answer: 2. Acetyl-CoA carboxylase

Explanation: Acetyl-CoA carboxylase Rate limiting enzyme of fatty acid synthesis. Activated by citrate Inhibited by Palmitoyl CoA. Converts Acetyl CoA to Malonyl CoA, Also uses Biotin as coenzyme and ATP. As ATP is used, name of enzyme is also Malonyl CoA Synthetase.